Imiquimod used in treatment of anogenital warts acts manly as –
1. Antifungal
2. Antiviral
3. Immunostimulator
4. Keratolytic

Correct answer: 3. Immunostimulator